Systemic acyclovir in herpes zoster is useful:
1. When started immediately after the onset of rash
2. For post-herpetic neuralgia
3. For ocular lesions only
4. All of the above

Correct answer: 1. When started immediately after the onset of rash

Explanation: Ans. When started immediately after the onset of rash